The particle size in Williams E-Z Gold:
1. 15 mm
2. 10 mm
3. 12 mm
4. 20 mm

Correct answer: 1. 15 mm

Explanation: Powdered gold is made by a combination of chemical precipitation and atomization, with an average particle size of 15 mm. The atomized particles are mixed together in wax, cut into pieces, and wrapped in No.4 or No.3 foil.
Several sizes of these pellets are available. This product is marketed as Williams E-Z Gold (Ivoclar-Williams, Amherst, NY).
Reference: Sturdevant operative dentistry. 7th EDITION, Page No:e68